Mallory hyaline seen in all except:
1. Indian childhood cirrhosis
2. Hepatocellular carcinoma
3. Alcoholic liver disease
4. Neonatal hepatitis

Correct answer: 4. Neonatal hepatitis

Explanation: Ans: d) Neonatal hepatitis Ref: Robbins 7th ed/Pg 905Mallory hyaline: Intracytoplasmic eosinophilic inclusion bodies composed predominantly of keratin intermediate filaments. They are also called alcoholic hyaline, but not specific for ALD as they are seen in certain other conditions.Causes of Mallorv hyaline include:1) Alcoholic liver disease2) Primary biliary cirrhosis3) Indian childhood cirrhosis4) Wilson disease5) Hepatocellular carcinoma6) Focal nodular hyperplasia7) Chronic cholestatic syndrome8) Alpha-1 antitrypsin deficiency